Which of the following drugs can be used for the treatment of chloroquine resistant malaria in children
1. Chloroquine
2. Doxycycline
3. Tetracycline
4. Clindamycin

Correct answer: 4. Clindamycin

Explanation: Tetracycline and clindamycin are active against erythrocytic schizonts of all human malarial parasite. Doxycycline is commonly used in the treatment of falciparum malaria in conjunction with quinine, allowing a shorter and well tolerated course of quinine.
Clindamycin is slowly active against erythrocytic schizonts and can be used in conjunction with quinine in those for whom doxycycline is not recommended, such as children and pregnant women.
Thus, the answer is clindamycin because:
– In chloroquine resistant malaria, chloroquine will be ineffective.
– Tetracycline and doxycycline are contra-indicated in children (due to risk of bone and teeth abnormalities).